Select false statement regarding Receiver Operating Characteristic (ROC):-
1. Trading off between sensitivity and specificity is achieved by ROC curve
2. Higher is the curve better is the screening test/ cut-off
3. It represents Likelihood ratio of positive test
4. None of above

Correct answer: 4. None of above

Explanation: Receiver Operating Characteristic(ROC)curve:- Trading off b/w sensitivity & specificity is achieved by ROC curve. Black: No use Red: Fair Blue: Good Higher is the curve better is the screening test. It represents LR+ (likelihood ratio of positive test) Uses of ROC curve:- Determining the threshold for screening/ diagnosis of a positive test. Comparison of two or more screening/ diagnosis test of a disease with each other.